In duschene the knee jerk ?
1. Exaggerrated
2. Decrease
3. May be normal initially lateron increase
4. May be normal initially lateron decrease

Correct answer: 4. May be normal initially lateron decrease

Explanation: Ans. is 'd' i.e., May be normal initially lateron decrease Duchenne and Becker's muscular dystrophy. X-like recessive So expression of gene is essentially confirmed in males. Females are affected only if X-chromosome carrying the normal allele is lost or inactivated Becker is milder form with late onset and slow progression. In duchenni, onset is early with deloyed misection. Pseudohypertrophy of calf muscle, glutei, deltiod, Gower sign may positive at age of 3 year. Cardiac involvement started at 10 year of age. Deep tendon reflexes remain normal or are decreased in patients with DMD. Ankle jerks are relatively preserved until the terminal stages, while the knee jerk reflex is less brisk than the ankles by age six, but is eventually lost. Histopathology shows diffuse degeneration & regeneration of muscle fibre. Serum CPX are markedly high.